Nephritic syndrome is characterized by all of the following except:
1. Hematuria
2. Edema
3. Hypertension
4. Massive proteinuria

Correct answer: 4. Massive proteinuria

Explanation: Ans. D: Massive proteinuria